Fosphenytoin route of administration ?
1. Intravenous
2. Subcutaneous
3. Oral
4. Intradermal

Correct answer: 1. Intravenous

Explanation: Ans. is `a' i.e., Intravenous Fosphenvtoin: Water soluble prodrug of phenytoin Used in status epilepticus patients It is available as intravenous injection. It is less damaging to intima compared to phenytoin, can be injevted at a faster rate of 150 mg/ min, can be used in glucose solution drip. Its infusion requires ECG monitoring.